The minimum age at which an individual is responsible for his criminal act is –
1. 12 years
2. 7 years
3. 16 years
4. 21 years

Correct answer: 2. 7 years

Explanation: According to sec. 82 IPC nothing is an offence which is done by a child under seven years of age.